Third part of duodenum is crossed by
1. Portal vein
2. Hepatic artery
3. Bile duct
4. Superior mesenteric artery

Correct answer: 4. Superior mesenteric artery

Explanation: The third part, or horizontal part or inferior part of the duodenum begins at the inferior duodenal flexure and passes transversely to the left, passing in front of the inferior vena cava, abdominal aorta and the vertebral column. The superior mesenteric artery and vein are anterior to the third part of duodenum. Ref - BDC 6e vol2 pg262